Which of the following is safe even if injected intraarterial?
1. Thiopentone
2. Propofol
3. Mida7olam
4. Methohexitone

Correct answer: 2. Propofol

Explanation: Ans. is 'b' i.e., Propofol Accidental extravasation or intra-arterial injection of propofol does not cause adverse reactions" Primer of Anaesthesia "Intraaierial injection of propofol does not cause vascular injury" - Essentials of Anaesthesia Etomidate is also safe. -Miller's Drugs associated with sever complications after intraarterial injection Benzodiazepines : Diazepam, midazolam, temazepam, chlordiazapoxide Phenothiazines : Promethazine, chlorpromazine, promazine Barbiturates : Thiopentone, methexitone, secobarbitone, pentobarbitone Amphetamines Antibiotics : Flucloxacillin, Penicillin Narcotics : Heroin, mepridine, propoxyphene, cocaine Q Miscellaneous : Tubocurarine, atracurium